Broadbent cephalostat uses:
1. 2 x-ray sources and 2 film holders.
2. 1 x-ray source and 1 film holder
3. 1 x-ray source and 2 film holders
4. None of the above.

Correct answer: 1. 2 x-ray sources and 2 film holders.